The combined oral contraceptive pill is absolutely contraindicated in:
1. Thromboembolism (h/o)
2. PID
3. Age above 40 years
4. Leiomyoma

Correct answer: 1. Thromboembolism (h/o)

Explanation: The combined oral contraceptive pill is absolutely contraindicated in: Thromboembolic, coronary and cerebrovascular disease or a history of it Moderate to severe hypertension; hyperlipidemia Active liver disease, hepatoma or h/o jaundice during past pregnancy Suspected/Overt malignancy of genitalia/breast Porphyria Impending major surgery to avoid postoperative thromboembolism Also Know: Relative contraindications: Diabetes: control may be vitiated. Obesity Smoking Undiagnosed vaginal bleeding Uterine leiomyoma: may enlarge with estrogenic preparations; progestin only pills can be used Mentally ill Ref: KDT 6th Ed Page 316.